Decreased vascularity of fibroid is seen with :
1. GnRH agonist
2. Danazol
3. Mifepristone
4. All

Correct answer: 4. All

Explanation: Ans. is a, b, and c i.e. GnRH analogues; Danazol; and Mifeprestone As I have already explained in previous question, the drugs used to decrease blood loss / vascularity of fibroid during surgery are :